Damage control surgery is
1. Minimal intervention dose to stabilize the patient and do the definitive surgery later
2. Maximum possible surgical intervention is done immediately
3. Dose during triage procedure
4. Done to control damage during surgery

Correct answer: 1. Minimal intervention dose to stabilize the patient and do the definitive surgery later